Following are seen in fibrous dysplasia EXCEPT
1. Cafe-au-lait spots
2. No premalignant change
3. Expanding rib lesions
4. Expanding lesions of maxilla

Correct answer: 2. No premalignant change

Explanation: Ans. B i.e. No premalignant change